I time required to reach the steady state after a dosage regimen depends on
1. Route of Administration
2. Half life of drug
3. Dose interval
4. Dosage of the drug

Correct answer: 2. Half life of drug

Explanation: after a dosage regimen, concentraton of the drug to reach the stead state (when the eliminaton balances the input) is called steady state plasma concentration cpss cpss is reached in about 4-5 half lives. the amplitule fluctuations in Cpss depends on the dose interal relative t1/2 Ref-KDT 6/e p32